Which of the following is not a branch of internal iliac artery?
1. Superior rectal artery
2. Middle rectal artery
3. Superior gluteal artery
4. Inferior vesicle artery

Correct answer: 1. Superior rectal artery

Explanation: Ans. A Superior rectal arteryRef: Gray's, 41st ed. pg. 1224-25* Common iliac artery bifurcates into internal and external iliac artery at the level of sacroiliac joint.* Length of internal iliac artery: ~ 4 cm.Mnemonic for Remember the Branches of the Internal Iliac Artery* I Love Going Places In My Very Own Underwear!Mnemonic* I: iliolumbar artery* L: lateral sacral artery* G: gluteal (superior and inferior) arteries* P: (internal) pudendal artery* I: inferior vesicle (uterine in females) artery* M: middle rectal artery* V: vaginal artery* O: obturator artery* U: umbilical artery* Also, the first three arteries (iliolumbar, lateral sacral and superior gluteal arteries) are all branches of the posterior trunk of the internal iliac artery, whilst the remainder are branches of the anterior trunk.* Superior rectal artery is a branch of inferior mesenteric artery.* Inferior epigastric artery is a branch of external iliac artery.